Which of the following benign lesion of breast is associated with moderately increased risk of invasive breast carcinoma?
1. Sclerosing Adenosis
2. Atypical lobular hyperplasia
3. Apocrine metaplasia
4. Squammous metaplasia

Correct answer: 2. Atypical lobular hyperplasia

Explanation: Atypical lobular hyperplasia refers to proliferation of lobular type cells within the acini of a lobule. It is a benign breast disease associated with 4-5 times increased risk of developing breast cancer. In this type the cellular proliferation is mild and the cells fill the acini but do not distend most of them. Ref: Common Breast Lesions: A Photographic Guide to Diagnosis and Treatment By Samuel Pilnik, Page 147; Schwartz's Principles of Surgery, 9th Edition, Chapter17; Mammography: Diagnosis and Pathological Analysis By Maon Lanyi, Page 64; Early Breast Cancer: From Screening to Multidisciplinary Management By G. Querci Della Rovere, Page 268; Managing Breast Cancer Risk By Monica Morrow, Virgil Craig Jordan, Page 59